A 55 year-old man with unstable angina is treated with an intravenously administered glycoprotein IIb - IIIa inhibitor. The mechanism of action of this agent is the ability to.
1. Dilate coronary arteries
2. Inhibit platelet aggregation
3. Inhibit platelet adhesion
4. Inhibit atherogenesis

Correct answer: 2. Inhibit platelet aggregation

Explanation: Solution:
Glycoprotein IIb - IIIa

Prevent the action of the platelet surface receptor glycoprotein complex, which is mrequired for formation of fibrinogen bridges between adjacent platelets.
Thus inhibiting platelet aggregation.